β - blocker toxicity is treated by
1. Atropine
2. Insulin
3. Fomepizole
4. Glucagon

Correct answer: 4. Glucagon

Explanation: Glucagon is used to treat Overdose of β - blockers
Fomepizole is used to Ethylene Glycol poisoning.